Upper one third of vagina is derived from:
1. Sinovaginal bulb
2. Mullerian duct
3. Wollfian duct
4. Genital ridge

Correct answer: 2. Mullerian duct

Explanation: Uterovaginal canal (fused Mullerian or paramesonephric ducts) forms upper 1/3rd vagina, lower 2/3rd is formed from urogenital sinus. Uterovaginal canal (mesoderm) comes in contact with the urogenital sinus (endoderm). Sinovaginal bulbs are formed by the proliferation of endodermal lining. Solid vaginal plate is derived partly from mesoderm of uterovaginal canal and partly from endoderm of sinovaginal bulbs. Vagina is formed by canalization of vaginal plate. Ref: Snell's, Clinical Anatomy, 7th Edition,Page 404; Human Embryology, 7th Edition, Page 283.